Framingham risk score is used to determine?
1. CHF severity
2. CHF diagnosis
3. Cardiovascular mortality due to atherosclerosis
4. Decision for stenting in chronic stable angina

Correct answer: 3. Cardiovascular mortality due to atherosclerosis

Explanation: Framingham risk score is used to determine 10-year Cardiovascular mortality for Atherosclerosis. Framingham criteria are used for diagnosis of Congestive heart failure